Infliximab is :
1. IgG1 chimeric monoclonal antibody against TNF α
2. IgG1 fully human monoclonal antibody against TNF α
3. P75 TNF receptor fusion protein
4. none

Correct answer: 1. IgG1 chimeric monoclonal antibody against TNF α